Clinical effect of vitamin D is reduced by ?
1. Simultaneous ingestion of phytates
2. Simultaneous ingestion of lactose
3. Acidic environment
4. None

Correct answer: 1. Simultaneous ingestion of phytates

Explanation: Ans. is 'a' i.e., Simultoneous ingestion of phytates The main clinical effect of vitamin D is to enhance intestinal absorption of calcium. With an average intake of 1000 mg of calcium its net intestinal absorption is only 150-250 mg/day. Calcium is absorbed mainly in the duodenum and jejunum (proximal intestine) by an active transport mechanism regulated by 1, 25 (OH)2 D, (calcitriol). Parathormone indirectly promotes absorption of calcium by increasing the renal synthesis of 1, 25 (OH)2 D3. Dietary lactose, proteins and an acidic environment promote calcium absorption. On the other hand, phytates, phosphates, oxalates, tetracycline and and alkaline environment impair calcium absorption.